Which of the following pigment are involved in free radical injury
1. Lipofuscin
2. Melanin
3. Bilirubin
4. Hematin

Correct answer: 1. Lipofuscin

Explanation: ref Robbins 7/e p39, 9/e p64 also called wear and tear pigment or pigment ageing Derived through lipid peroxidase Perinuclear in location Indicative of free radical injury to cell Prominent in ageing ,severe malnutrition and cancer ,cachexia